Patient presenting with pellagra, parkinsonism, convulsions, anemia and kidney stones has deficiency of
1. Coenzyme A
2. FADH
3. Niacin
4. Pyridoxal phosphate

Correct answer: 4. Pyridoxal phosphate

Explanation: D i.e. Pyridoxal phosphate